All are TRUE about myxomas in heart, EXCEPT:
1. Most common primary tumor of the heart
2. Associated with clonal abnormalities of chromosomes 12 and 17
3. 90% are located in the atria
4. Never occur on heart valves

Correct answer: 4. Never occur on heart valves

Explanation: Myxomas are the most common primary tumor of the heart in adults. They are benign neoplasms often associated with clonal abnormalities of chromosomes 12 and 17 that are thought to arise from primitive multipotent mesenchymal cells. Although they may arise in any of the four chambers or, rarely, on the heart valves, about 90% are located in the atria (atrial myxomas), with a left-to-right ratio of approximately 4 : 1. Ref: Robbins 8th edition Chapter 12.